In rubella syndrome all are seen except
1. Salt and paper chorioretinopathy
2. Congenital cataract
3. Macrophthalmos
4. Cloudy cornea

Correct answer: 3. Macrophthalmos

Explanation: Rubella syndrome - congenital rubella cataract may occur alone or as part of the classical rubella syndrome which consist of 1. Ocular defects - congenital cataract , salt and paper chorioretinopathy ,microphthalmos and cloudy cornea 2. Ear defects - deafnes due to destruction of organ of corti 3. Heart defects - PDA(m/c) Congenital rubella cataract - Child born with pearl white nuclear cataract - Progressive type of cataract - Congenital morgagnian cataract